Anti-TNF alpha drugs are used for the treatment of all following disease EXCEPT:
1. Systemic lupus erythematosis
2. Seronegative arthritis
3. Psoriatic arthritis
4. Crohn's disease

Correct answer: 1. Systemic lupus erythematosis

Explanation: TNF alpha blockers are used mainly in autoimmune diseases like Rheumatoid arthritis, ankylosing spondylosis,fistulating Crohn's disease, psoriasis, juvenile, and refractory rheumatoid arthritis. main TNF alpha inhibitors are Etanercept, Infliximab, Adalimumab. Though SLE is an autoimmune disorder it is treated by other immunosuppressants like Methotrexate, Mycophenolate mofetil, Cyclophosphamide, Azathioprine ESSENTIALS OF MEDICAL PHARMACOLOGY-SEVENTH EDITION -K.D TRIPATHI Page 884,883